False about The mitochondrial disorders
1. May present at any age and by mode of inheritance
2. Include Pearson's syndrome
3. Features may include retinitis pigmentosa
4. Elevated free-floating blood lactate do not support the diagnosis

Correct answer: 4. Elevated free-floating blood lactate do not support the diagnosis

Explanation: Diagnosis is suggested by an elevated free-floating blood lactate in the absence of sepsis, hypoxia, poor tissue perfusion or other metabolic disorder which causes high lactate. Diagnosis is confirmed by enzyme analysis.